Cataract is caused by all except:
1. Ultraviolet radiation
2. MRI
3. Infrared radiation
4. Microwave radiation

Correct answer: 2. MRI

Explanation: B i.e. MRI